Which of the following cusps of the mandibular first molar has the maximum thickness of enamel and dentin
1. Mesiolingual
2. Mesiobuccal
3. Distal
4. All have same thickness

Correct answer: 2. Mesiobuccal